Transitional epithelium is seen in
1. Esophagus
2. Vagina
3. Urinary bladder
4. Trachea

Correct answer: 3. Urinary bladder

Explanation: INDERBIR SINGH'S TEXTBOOK OF HUMAN HISTOLOGY-PAGE NO:320